Heritable changes in gene expression not caused by alterations in DNA sequence refers to:
1. Genetics
2. Epigenetics
3. Mutations
4. Transposons

Correct answer: 2. Epigenetics

Explanation: Epigenetics Means 'above genes'. Study of heritable changes in gene expression that donot involve changes to the underlying DNA sequence. This is a change in phenotype without a change in genotype. Epigenetic silencing (Genomic Imprinting) is one of the ways to turn genes off - contribute to differential expression. Major mechanisms of epigenetics DNA methylation (most common) Histone modifications (post translational)